Functions of periodontal ligament
1. Nutritive
2. Sensory
3. Formative
4. All

Correct answer: 4. All